Which of the following statement is true in cytochemistry of ALL
1. PAS positive (Block positivity)
2. Myeloperoxidare positive
3. Sudon Black B positive
4. Non specific estesare positive

Correct answer: 1. PAS positive (Block positivity)

Explanation: Solution:

In L1 and L2 sub types of ALL ( B cell - ALL) PAS positive Blocker are seen in Lymphoblasts on clear Cytoplasmic background.
In T Cell - ALL and in L3 Sub type of ALL. PAS reaction is negative.